Nitric oxide is synthesized from this amino acid:
1. Arginine
2. Lysine
3. Leucine
4. Isoleucine

Correct answer: 1. Arginine

Explanation: Ans. A. Arginine* Nitric oxide is synthesized from L-Arginine* Reaction is catalyzed from enzyme nitric oxide synthase.* Function:# Similar in reactive oxygen species in their function# Potent microbial killer# Produced by endothelial cells and by activated macrophages